All of the following regarding Lichen planus are true except -
1. Does not involve mucous membrane
2. Associated with Hepatitis 'C'
3. Topical steroids are the mainstay of therapy
4. Spontaneous remission occurs after 6months to 2 years

Correct answer: 1. Does not involve mucous membrane

Explanation: Mucous membranes are commonly involved especially of oral mucosa, and less commonly of genital tract.
Hepatitis 'C' and chronic active hepatitis have been implicated for the causation of Lichen planus.
Topical steroids are the first line of treatment.
Lesions of Lichen planus heal spontaneously in 6 months to 2 years, leaving behind hyperpigmentation.